Investigation of choice for diphtheria carrier is:
1. Throat swab culture
2. Gram’s stain
3. Albert’s stain
4. Ziehl Neelsen stain

Correct answer: 1. Throat swab culture

Explanation: Carriers can be detected only by cultural method.
Swab should be taken from both the nose and throat.